Injury is defined by IPC ?
1. 319
2. 44
3. 321
4. 322

Correct answer: 2. 44

Explanation: Ans. is 'b' i.e. 44 Medically, injury is defined as any discontinuity or breach in the anatomy of body.Legally, injury is defined as any harm caused illegally to a person, i.e. to his mind, body, reputation or property (Sec 44 IPC).